Not a component of Glasgow coma scale
1. Eye opening
2. Motor response
3. Pupil size
4. Verbal response

Correct answer: 3. Pupil size

Explanation: GLASGOW COMA SCALE EYE OPENING VERBAL RESPONSE MOTOR RESPONSE spontaneous -4 oriented -5 obeys commands -6 to speech -3 confused -4 localises pain -5 to pain -2 inappropriate words -3 flexion to pain -4 none -1 incomprehensible words -2 abnormal flexion -3 none -1 extension to pain -2 none -1 .TOTAL SCORE :15 MILD HEAD INJURY:13-15 MODERATE HEAD INJURY: 9-12 SEVERE HEAD INJURY: less than 8(3-8)